Rugger jersey spine is seen in:
1. Myeloma
2. TB spine
3. CRF
4. Ankylosing spondylitis

Correct answer: 3. CRF

Explanation: Answer is C (CRF): The Rugger Jersey spine refers to band like osteosclerosis of the superior and inferior margin of the vertical body. Rugger Jersey Spine is characteristically seen in chronic renal failure due to secondary hyperparathyroidism or Renal osteodystrophy.